Formed visual hallucinations are seen in lesions of:
1. Frontal lobe
2. Temporal lobe
3. Occipital lobe
4. Parietal lobe

Correct answer: 2. Temporal lobe

Explanation: The lesions of temporal lobe can cause all types of hallucinations (auditory, visual, olfactory etc). Formed visual hallucinations are elaborate visual hallucinations (e.g a patient may report seeing a tree with green leaves which has a parrot sitting and a man standing near it) . The presence of elaborate visual hallucinations should raise a strong doubt of an organic cause (i.e. a pathology of brain parenchyma), specifically a temporal lobe pathology.